Characteristic feature of Systemic Juvenile Idiopathic Arthritis is
1. Uveitis is a feature
2. It occurs after 16 years of age
3. NSAIDs are contraindicated
4. RA factor is negative

Correct answer: 4. RA factor is negative

Explanation: Systemic Juvenile Idiopathic Arthritis

It begins at below 16 years of age
NSAIDs are given 
Ra factor is negative
Uveitus is seen in oligoarticular JIA